Over half of the potassium that appears in the urine of a patient, who has ingested some potassium salts, is derived from
1. Glomerular filtrate
2. Secretion by the distal tubule
3. Reabsorption in the proximal tubule
4. Secretion by the loop of Henle

Correct answer: 2. Secretion by the distal tubule

Explanation: In Normal K+ intake -
-        The proportion of K+ by filtration in urine- 2/3
-        The proportion of K+ by secretion in urine (Distal tubules and collecting duct)- 1/3
In High K+ intake-  
-        The proportion of K+ by filtration in urine- 1/3
-        The proportion of K+ by secretion in urine (Distal tubules and collecting duct)- 2/3